A 60 year old man presented with watering from his left eye since 1 year. Syringing revealed a patent drainage system. Rest of the ocular examination was normal. A provisional diagnosis of lacrimal pump failure was made. Confirmations of the diagnosis would be by:
1. Dacryoscintigraphy
2. Dacryocystography
3. Pressure syringing
4. Canaliculus irrigation test

Correct answer: 1. Dacryoscintigraphy

Explanation: Ans. Dacryoscintigraphy